Osteoporosis is caused by all, except?
1. Sarcoidosis
2. Old age
3. Hypoparathyroidism
4. Steroid therapy

Correct answer: 3. Hypoparathyroidism

Explanation: In sarcoidosis the osteoporosis process is usually due to use of steroids. This means choice a and d is correct. Osteoporosis occurs more frequently with increasing age as bone tissue is lost progressively. In women, the loss of ovarian function at menopause (typically about age 50) precipitates rapid bone loss.